The sign of retrobulbar neuritis is -
1. Optic atrophy
2. Papilledema
3. Circumciliary congestion
4. Impairment of color vision

Correct answer: 4. Impairment of color vision

Explanation: Ans- D Optic Neuritis A. Papilitis Most common causes : Multiple sclerosis. Ophthalmoscopic features: Swollen optic disc up to 2 D Hyperemic disc. Disc margins blurred. Clinical feature Usually U/L Sudden loss of vision. Pain on eye movement (retrobulbar neuritis) Marcus gunn pupil or RAPD (Relative Afferent Pupillary Defect) Centrocaecal scotomas. Impairment of color vision Uthoff sign-worsening of vision with increase in body temperature Pulfrich phenomenon-Abnormal depth perception (oscillating object seems to move in elliptical direction) Treatment (ONTT TRIAL) 1ST three days i/v methyl prednisofone Followed by tapering dose of oral Prednisolone over 11 days. Total = 3+11=14 days Investigation of choice : MRI (orbits + Brain) T2W with contrast Retrobulbar neuritis(Involvement of retro laminar part of optic nerve). Ophthalmoscopic feature-Normal optic nerve head and retinal nerve fibre layer. S/S- Similar to papillitis. Neuroretinitis Disc edema and Macular star.